A 6 yr child presents with recurrent episodes of gross hematuria for 2 yrs. He is likely to have:
1. IgA nephropathy
2. Wilm's tumour
3. Henoch Schonlein Purpura (HSP)
4. Neuroblastoma

Correct answer: 1. IgA nephropathy

Explanation: Answer is A (IgA Nephropathy) : Recurrent episodes of painless gross haematuria represent the classic clinical presentation of IgA nephropathy. Recurrent episodes of gross haematuria Recurrent Gross Haematuria should be distinguished from isolated episodes of gross hematuria, as it is a charachteristic feature of some specific disorders